Chronic arsenic poisoning causes -a) Pure sensory neuropathyb) Pure motor neuropathyc) Mixed sensory and motor neuropathyd) Painful neuropathye) Hyperkeratosis of skin
1. abd
2. acd
3. bde
4. cde

Correct answer: 4. cde

Explanation: Arsenic causes mixed (sensory and motor) neuropathy and hyperkeratosis of palm and sole.
Neuropathy may cause painful paresthesia (i.e. painful neuropathy).